In methyl alcohol poisoning there is CNS depression, cardiac depression and optic nerve atrophy. These effects are produced due to ?
1. Formaldehyde and formic acid
2. Acetaldehyde
3. Pyridine
4. Acetic acid

Correct answer: 1. Formaldehyde and formic acid

Explanation: Ans. is 'a' i.e., Formaldyhyde and formic acid o Methyl alcohol (methanol) is metabolized to formaldehyde by alcohol dehydrogenase and then to formic acid by aldehyde dehydrogenase. These compounds are responsible for the toxicity. Formic acid can lead to coma and blindness also. Therefore, inhibitor of alcohol dehydrogenase, Femepizole is used for treatment of methanol over dose.